Tram track appearance on CT scan of head is seen in –
1. Sturge weber syndrome
2. Von Ripple lindau syndrome
3. Tuberous sclerosis
4. Neurofibroma

Correct answer: 1. Sturge weber syndrome

Explanation: Train track or rail road calcification is characteristic of sturge weber syndrome.